Adipocere occurs in:
1. Arsenic poison
2. Body lying in water
3. Body inside car locked doors
4. Inside shallow soil

Correct answer: 2. Body lying in water

Explanation: Ans. (B). Body lying in waterWarm, moist climate essential.Clostridium - lecithinaseIntrinsic lipase